Diffusion hypoxia is seen with which drug:
1. Nitrous oxide
2. Ketamine
3. Theophylline
4. Halothane

Correct answer: 1. Nitrous oxide

Explanation: Ans. A. Nitrous oxideDiffusion hypoxia is side effect seen with nitrous oxide. It is seen when suddenly N2 O is stopped while recovering from anaesthesia. It can be prevented by supplying 100 percent O2 to the patient.